A 25-year old pregnant lady presents with thrombocyto-penia (Platelet count < 50,000) and fragmented ' RBC's in peripheral smear. Which of the following is the least likely differentail diagnosis?
1. Thrombotic Thrombocytopentic Purpura (TTP)
2. Disseminated Intravascular Coagulation (DIC)
3. HELLP syndrome
4. Evan's syndrome

Correct answer: 4. Evan's syndrome